Galle's test is used for ?
1. Otosclerosis
2. Juvenile angiofibroma
3. Nasal polyp
4. None

Correct answer: 1. Otosclerosis

Explanation: Ans. is 'a' i.e., Otosclerosis Gelle's test It is a bone conduction test and examines the effect of increased air pressure in ear canal on hearing. Increased air pressure in ear canal (by Siegle's speculum) pushes the tympanic membrane and ossicles inwards which raises the intralabyrinthine pressure and causes immobility of basilar membrane and decreased hearing. However, if ear ossicles are already fixed or disconnected, the pressure cannot be transfered to inner ear No change in hearing in this situation. Base of vibrating tuning fork is placed on mastoid process and air pressure in ear canal increased (by Siegle's speculum). Interpretation are : - Positive Gelle's (decreased hearing on increased pressure)- Normal or sensorineural hearing loss. h) Negative Gelle's (No effect of pressure change in hearing) - Disconnected or fixed ossicular chain.